Current recommendations for minimum preoperative starving period for solid food (NPO for solid food]-
1. 4 hours
2. 6 hours
3. l0 hours
4. Overnight

Correct answer: 2. 6 hours

Explanation: Ans: B. 6 hoursLight meal (Solid food) - 6hrs.Heavy meal (Fried foods/meat) - 8hrs.